Coral red colour on wood lamp seen is –
1. Erythrasma
2. Pseudomonas
3. Tinea
4. ALL

Correct answer: 1. Erythrasma

Explanation: Coral red or pink fluorescent colour is seen in Erythrasma.